For diagnosis of lunacy, a person can be kept under observation at a stretch for -
1. 2 Days
2. 7 Days
3. 10 Days
4. 30 Days

Correct answer: 3. 10 Days

Explanation: According to Mental Health Act, 1987, if giving opinion on the mental status of allegedly mentally ill is not possible, the magistrate may permit observation of such a person under section 28 in an observation ward of a general hospital or another suitable place for 10 days at a time, extendable to a maximum of 30 days.